A 22 years emetropic male has exotropia in right eye. To make eye orthophoric, what is to be done-
1. Medial rectus rescession with convex lens
2. Lateral rectus recession with convex lens
3. Lateral rectus resection without glasses
4. Lateral rectus recession without glasses

Correct answer: 4. Lateral rectus recession without glasses

Explanation: Resection is done for underacting muscle. Recession is done for over acting muscle. Here overacting muscle is lateral rectus. Ref: AK Khurana 6thE pg 358